Oil drop cataract is characteristically seen in -
1. Diabetes
2. Chalcosis
3. Galactosemia
4. Wilson's disease

Correct answer: 3. Galactosemia

Explanation: Oil drop cataract is seen in galactosemia. Ref: Clinical ophthamology 2nd/e p.791.